patient underwent LSCS post operative patient developed constipation , abdominal distention and examination showed absent bowel sound and soft in consistency .diagnosis is ?
1. paralytic ileus
2. amniotic fluid peritonitis
3. appendicitis
4. uterine rupture

Correct answer: 1. paralytic ileus

Explanation: Women who are recovering well after uncomplicated caesarean section should be encouraged to eat and drink when they feel hungry or thirsty. The majority of women regain bowel function passing flatus within 24h and stool within 72h of surgery. Delay in bowel return of bowel function owing to paralytic ileus (loss of peristalsis) is a complication of (excessive) handling of the intestines during abdomino-pelvic surgery and can lead to significant maternal morbidity, through the development of Ogilvie's syndrome, and (rarely) mortality. Prolonged or difficult surgery, ketoacidosis and acute kidney injury are all triggers for this condition. ref : dutta obstetrics